All of the following are true about peritoneal fluid, EXCEPT:
1. Lack of fibrinogen-related clot formation
2. Peritoneal fluid is directed toward arterial flow
3. Free movement of viscera
4. Removes excess fluid and particulates

Correct answer: 2. Peritoneal fluid is directed toward arterial flow

Explanation: Normal amount of peritoneal fluid is less than 50 mL of free peritoneal fluid, with the following characteristics: Specific gravity below 1.016 Protein concentration less than 3 g/dL White blood cell count less than 3000/microL Complement-mediated antibacterial activity Lack of fibrinogen-related clot formation Peritoneal fluid that lubricates the peritoneal surfaces, enabling the intraperitoneal organs to slide across one another with minimal friction. The circulation of peritoneal fluid is directed toward lymphatics in the undersurface of the diaphragm. There, particulate matter--including bacteria up to 20 micrometer in size--is cleared stomas in the diaphragmatic mesothelium and lymphatics and discharged mainly into the right thoracic duct. Ref: Doherty G.M. (2010). Chapter 22. Peritoneal Cavity. In G.M. Doherty (Ed), CURRENT Diagnosis & Treatment: Surgery, 13e.